All are antithyroid drugs EXCEPT:
1. Propylthiouracil
2. Methimazole
3. Carbimazole
4. Carbamazepine

Correct answer: 4. Carbamazepine

Explanation: (Carbamazepine): Ref: 230-KDT(249-KDT6th)CLASSIFICATIONS1. Inhibit hormone synthesis (Antithyroid drugs)Propylthiouracil, Methimazole, Carbimazole2. Inhibit iodide trapping (Ionic Inhibitors)Thiocyanates (- SCN) Perchlorates (- CIO4) Nitrates (- NO3)3. Inhibit hormone releaseIodine, Iodides of Na and K, organic iodide4. Destroy thyroid tissue - Radioactive iodine (I3II, 125I, 123I)Carbamazipine is a antiepileptic drugs